Not seen in Marfans syndrome
1. Scoliosis
2. Hyperlaxity
3. Pes planus
4. Hypospadias.

Correct answer: 4. Hypospadias.